UMN lesion is characterised by :
1. Weakness & spasticity
2. Fasciculations
3. Rigidity
4. Localised muscle atrophy

Correct answer: 1. Weakness & spasticity

Explanation: Answer is A (Weakness and Spasticity): Spasticity is a characteristic of U.M.N. lesion. Fasciculations, hypotonia and muscle atrophy are features of LMN, not UMN palsy UMN LMN Power :Decreased 1. Power :Very much decreased Weakness; Q (Muscle groups or Limbs being affected & Weakness (severe) due to paralysis of individual muscles. not individual muscles Q) Tone: Flaccidity (Hypotonia) Q 2. Tone : Hypertonia = Clasp knife spasticityQ 3. Wasting/Atrophy is marked (cardinal feature) Q Wasting /Atrophy :Minimal, if present and due to 4. Reflexes disuse atrophy. Reflexes Superficial reflexes :Lost Superficial Reflexes :Lost Q Deep reflexes :Exaggerated Q Deep reflexes :Brisk/Exaggerated 2 Clonus :Absent Q Clonus :May be + nt Q Plantar :Flexor or no response Q Plantar :Extensor Q 5. Fasciculations :Present Q Fasciculations :Absent 6. Reaction of degeneration in muscles :Present Q Reaction of degeneration in muscles :absent